Best method for comparison of death between two populations with age variation -
1. Age adjusted rates
2. Crude rates
3. Proportional rates
4. None

Correct answer: 1. Age adjusted rates

Explanation: Ans-A i.e., Age adjusted rates o Standardization (or adjustment) of rates is used to unable the valid comparison of groups that differ regarding an important health determinant (most commonly age).o Age adjustment or age standardization removes the confounding effect of different age structures of two different population and yields a single standardized rate, by which the mortality experience can be compared directly.